The commonest fungal lesion of the eyelid is:
1. Candida
2. Aspergillosis
3. Sporothrix
4. None

Correct answer: 1. Candida

Explanation: Ans. Candida